Tumorlysis syndrome is associated with all of the following laboratory features except -
1. Hyperkalemia
2. Hypercalcemia
3. Hyperuricemia
4. Hyperphosphatemia

Correct answer: 2. Hypercalcemia